Cause for renal vein thrombosis could be -a) Membranous nephropathyb) Lupus nephritisc) Membranoproliferative glomerulonephritisd) Post streptococcal glomerulonephritise) Renal amyloidosis
1. acd
2. ace
3. cde
4. ade

Correct answer: 2. ace